Neuromuscular blockade produced by rocuronium can be reversed by ?
1. Sugammadex
2. Flumazenil
3. Blood transfusion
4. Plasmapheresis

Correct answer: 1. Sugammadex

Explanation: Ans. is'a'i.e., Sugammadex(Ref: Miller Eh/e p. 995)Sugammadex:Sugammadex is a modified y-cyclodextrin that shows a high affinity for the steroidal NMBDs rocuronium and vecuronium.Sugammadex is able to form a tight inclusion complex with either of these steroidal NMBDs, thereby inactivating the effects of rocuronium and vecuronium, resulting in rapid reversal of neuromuscular blockade.